All of the following facts related to chronic inflammation are true, except:
1. It can be severe and progressive.
2. Granulomas are an example of chronic inflammation.
3. Dominant cells in chronic inflammation are neutrophils.
4. Chronic inflammation is involved in pathogenesis of metabolic syndrome and certain cancers.

Correct answer: 3. Dominant cells in chronic inflammation are neutrophils.

Explanation: Chronic inflammation is of longer duration and is associated with:- Granulomatous reaction is a pattern of chronic inflammatory response. Presence of macrophages (dominant cells), lymphocytes and plasma cells. The proliferation of blood vessels, deposition of connective tissue. It is severe and progressive. Chronic inflammation is implicated in pathogenesis of neurodegenerative diseases, metabolic syndrome, type 2 diabetes and certain cancers.